In post disaster phase, for ensuring safe water supply, it is advisable to have a Residual Chlorine Level of
1. 0.3 mg/ litre
2. 0.5 mg/ litre
3. 0.7 mg/ litre
4. 3.0 mg/ litre

Correct answer: 3. 0.7 mg/ litre

Explanation: Level of residual chlorine to be maintained in all water bodies in post-disaster phase is > 0.7 mg/l (> 0.7 ppm).